In complete mullerian duct aplasia all of the following are likely to be absent, EXCEPT:
1. Ovaries
2. Fallopian tubes
3. Uterus
4. Vagina

Correct answer: 1. Ovaries

Explanation: The ovaries develop from the gonadal ridge, where as the the uterus, vagina and fallopian tubes develop from the mullerian duct. Hence development of ovaries is not affected by mullerian duct agenesis. Ref: Embryology By Ronald W. Dudek, James D. Fix, pages 148-54; Knobil and Neill's Physiology of Reproduction, Volume 1 By Ernst Knobil, Jimmy D. Neill, pages 327-31